Most common cyanotic heart disease -
1. TOF
2. VSD
3. TAPVC
4. Ebstein anomalies

Correct answer: 1. TOF

Explanation: Ans. is 'a' i.e., TOF Tetroiogy of falloto Cyanonic heart disease (MC).o Defect in infundibular septum leads to :Pulmonary stenosis.VSD (Not ASD)Dextroposition and overriding of aorta.Right ventricular hypertrophy (NOT LVH).o Pink TOF (Acyanotic TOF) when PS is mild to moderate, balanced shunt across the VSD, pt does not have cyanosis.